All the following are causative agents of sexually transmitted infections except
1. Candida
2. Group B streptococcus
3. Echinococcus
4. Hepatitis B

Correct answer: 3. Echinococcus

Explanation: Echinococcus is transmitted to humans by ingestion of eggs in dog’s faeces.